Osseous metastasis is most common if tumor is in:
1. Bronchus
2. Colon
3. Pancreas
4. Adrenal

Correct answer: 1. Bronchus

Explanation: Ans. Bronchus